Which of the following is not a cognitive error/dysfunction
1. Catastrophic thinking
2. Arbitrary inference
3. Over generalization
4. Thought block

Correct answer: 4. Thought block

Explanation: List of Cognitive errors/dysfunctions/distortions: Overgeneralizing Selective abstraction Excessive responsibility Assuming temporal causality Self references Catastrophizing Dichotomous thinking Reference: Kaplan & Sadock's Synopsis of Psychiatry: Behavioral Sciences/Clinical Psychiatry, 11th Edition, page 875.